Spongy appearance" with central sunburst calcification is seen in
1. Pancreatic adenocarcinoma
2. Mucinous cyst adenocarcinoma
3. Somato statinoma
4. Serous cyst adenoma

Correct answer: 4. Serous cyst adenoma

Explanation: Serous cyst adenoma